All of the following are true about alcohol abuse except
1. Alcoholic hallucinosis is seen after 12-24 hours of alcohol withdrawl
2. MCV is decreased in chronic alcoholics
3. Widmark formula is used to calculate blood alcohol concentration
4. CAGE questionnaire is used as screening test for alcohol abuse

Correct answer: 2. MCV is decreased in chronic alcoholics

Explanation: MCV is found to be elevated because of dietary deficieny & impaired absorption of Folic acid in chronic alcoholics.